CURB 65 criteria include all except?
1. Age more than or equal to 65 years
2. Respiratory rate more than 30/min
3. Systolic blood pressure is more than 90 mm Hg
4. BUN level is more than >7 mmol/L

Correct answer: 3. Systolic blood pressure is more than 90 mm Hg

Explanation: CURB 65- predict mortality in the community-acquired Pneumonia. The CURB-65 criteria includes five variables :- C - Confusion U - B.U. N >7 mmol/L R - Respiratory rate > 30/min B - Blood pressure :- Systolic < 90 mmHg or Diastolic < 60 mmHg 65 - Age >65 years Each criterion has one point which predicts the mortality in CAP:- Score 0: 30-day mortality rate is 1.5%- can be treated outside the hospital. Score 2: 30-day mortality rate is 9.2%, and patients should be admitted to the hospital. Score 3: mortality rates are 22% overall; these patients may require admission to an ICU.